In the presence of renal failure.............. should not be given -
1. Furosemide
2. Bumetanide
3. Spironolactone
4. None

Correct answer: 3. Spironolactone

Explanation: Ans. is 'c' i.e., Spironolactone In renal failure loop diuretics (Furosemide, Bometanide. Torasemide) are DOC. Thiazides are ineffective in renal failure. Spironolactone can cause dangerous hyperkalemia if renal function is inadequate.